True about pathophysiology of uterine fibroid is
1. Uterine fibroid is derived from multiple progenitor myocytes
2. Mitotic activity in these muscles is very common
3. They possess distinct autonomy from their surrounding myometrium
4. Leiomyoma have high arterial density compared with surrounding myometrium

Correct answer: 3. They possess distinct autonomy from their surrounding myometrium

Explanation: Uterine fibroid is derived from single progenitor myocyte.
Mitotic activity is rare in these muscles. They have lower arterial density compared to surrounding myometrium.